which group of anticancer drugs Temozolomide belong to
1. Oral alkylating agent
2. Antitumor antibiotic
3. Antimetabolite
4. Mitotic spindle inhibitor

Correct answer: 1. Oral alkylating agent

Explanation: Oral alkylating agent Temozolomide is an alkylating agent that can be given orally Refer Goodman Gilman. 12/e p1687